What is the use of Asche's forceps?
1. Used for reduction of the nasal complex fractures
2. To reduce the tooth-bearing portion of the upper jaw
3. To elevate fractured zygomatic bone
4. All of the above

Correct answer: 1. Used for reduction of the nasal complex fractures

Explanation: Walsham or Asche's forcep is used for the reduction of the nasal complex fractures.